Meiotic division of male germ cells commence
1. during intra-uterine life
2. just before birth
3. by around 6 years after birth
4. by around 16 years

Correct answer: 4. by around 16 years

Explanation: During formation of the embryo, the primordial germ cells migrate into the testes and become immature germ cells called spermatogonia, which lie in two or three layers of the inner surfaces of the seminiferous tubules. At puberty the spermatogonia begin to undergo mitotic division and continually proliferate and differentiate through definite stages of development to form sperm.
Key Concept:
Cell divisions during spermatogenesis. During embryonic development, the primordial germ cells migrate to the testis, where they become spermatogonia. At puberty (usually 12 to 14 years after birth), the spermatogonia proliferate rapidly by mitosis. Some begin meiosis to become primary spermatocytes and continue through meiotic division I to become secondary spermatocytes. After completion of meiotic division II, the secondary spermatocytes produce spermatids, which differentiate to form spermatozoa.